Which of the following is/are true regarding renal transplantation except:
1. Curvilinear incision is made in lower quadrant
2. Transplanted kidney is placed in retroperitoneal position
3. Recipients kidney is first removed from renal fossa to make space for donor kidney
4. Anastomosis of external iliac artery with renal artery

Correct answer: 3. Recipients kidney is first removed from renal fossa to make space for donor kidney

Explanation: Answer- (C) Recipients kidney is first removed from renal fossa to make space for donor kidneyA lower qusdrant curvilinear (Gibson) incision is made, and the iliac vessels are exposed through a retroperitoneal approach.The renal artery can be anastomosed end-to-end to the internal iliac.An end-to-side anastomosis of the renal artery to the external iliac artery is more frequently done.The ureter, which is kept reasonably short to avoid the risk of distal ischaemia, is then aaastomosed to the bladder.